Orexins, which controls appetite and food intake, is secreted from neurons located in:
1. Lateral hypothalamus
2. Central hypothalamus
3. Pons
4. Adrenal medulla

Correct answer: 1. Lateral hypothalamus

Explanation: Synthesized in neurons located in lateral hypothalamus. 
Orexins(neuropeptide) - control appetite and food intake.